Most common type of hypospadias is?
1. Glandular
2. Penile
3. Scrotal
4. Perineal

Correct answer: 1. Glandular

Explanation: Glandular REF: Bailey and love 24th ed p. 1389 Hypospadias is most common congenital malformation of urethra Types of hypospadias Glandular (50-70%) Penile Subcoronal Penoscrotal Scrotal Perineal